Substrate level phosphorylation is catalysed by :
1. Succinate dehydrogenase
2. Thiokinase
3. Malate dehydrogenase
4. Hexokinase

Correct answer: 2. Thiokinase

Explanation: Ans is 'b' i.e. Thiokinase/7te/i Chatterjee Shinde, 4/e, p 264]* There are two types of phosphorylation of ADP to ATP: -Oxidative phosphorylation at the respiratory chain levelSubstrate level phosphorylation.Substrate level phosphorylation :Is production of ATP 'at the substrate level' without the participation of the electron transport chain.Examples of substrate level phosphorylation :2 in glycolytic pathway &1 in Citric acid (TCA) cycle.